Management of stage 2 pressure sore, clean ulcer without cellulitis is
1. Protective dressing
2. Moist dressing
3. Absorbent dressing
4. Topical antibiotics

Correct answer: 2. Moist dressing

Explanation: Answer- B. Moist dressing